Which of the following is/are not local anesthesia:
1. Bupivacine
2. Mepivacine
3. Mivacurium
4. All

Correct answer: 3. Mivacurium

Explanation: C i.e. Mivacurium